The mitochondrial enzyme involved in the metabolism of clopidogrel and proton pump inhibitors is:
1. CYP3A4
2. CYP2D6
3. CYP 2C19
4. CYP 2C9

Correct answer: 3. CYP 2C19

Explanation: 50% of drugs are metabolized bycyp3a4 20-30% by cyp2d6 cyp2c19-omeprazole, clopidogrel, diazepam, citalopram, etc KD Tripathi 8th ed